An asthmatic patient is posted for elective hernia repair. Which of the following inhalational anaesthetic agents are preferred for induction in this patient
1. Isoflurane
2. Sevoflurane
3. Desflurane
4. Enflurane

Correct answer: 2. Sevoflurane

Explanation: Sevoflurane is preferred agent among the given options, as it is a bronchodilator.